Mechanism responsible for high rates of spontaneous abortion in septate uterus is
1. Distorted uterine cavity
2. Associated cervical abnormality
3. Implantation on avascular septum
4. Unfavourable endometrial lining

Correct answer: 3. Implantation on avascular septum

Explanation: The primary mechanism responsible for spontaneous abortion in septate uterus is partial or complete implantation on avascular septum.